Which of the following is epiphyseal tumor -
1. Giant cell tumor
2. Osteogenic Sarcoma
3. Ewing Sarcoma
4. Osteoidosteoma.

Correct answer: 1. Giant cell tumor

Explanation: Ans. is 'a' i.e., Giant cell tumourSites of tumorsEniphvseai tumorsMetaphyseal lesionsDiaphvseal lesionso Chondroblastomao Osteogenic sarcomao Ewing sarcomao Giant cell tumor (osteoclastoma)o Unicameral (simple) bone cysto Lymphomaso Clear cell chondrosarcomao Aneurysmal bone cysto Fibrous dysplasiao Fibrous cortical defecto Adamantinomao Chondrosarcomao Histiocytosiso Osteochondromao Osteoid osteomao Enchondromao Chondromyxoid fibromao Osteoblastomaa Fibrosarcomao Fibrous cortical defecto Non ossify ing fibroma